A middle aged lady presents with complaints of lower back pain. ON examination there is weakness of extension of right great toe with no sensory impairment. An MRI of the lumbosacral spine would most probably reveal a prolapsed intervertebral disc at what level?
1. L3 - L4
2. L4-L5
3. L5-S1
4. S1-S2

Correct answer: 2. L4-L5

Explanation: B i.e. L4 - L5